An induction agent of choice for poor-risk patients with cardiorespiratory disease as well as in situations where preservation of a normal blood pressure is crucial:-
1. Thiopentone
2. Propofol
3. Etomidate
4. Ketamine

Correct answer: 3. Etomidate

Explanation: Etomidate causes minimal cardiorespiratory depression even in the presence of cardiovascular and pulmonary disease. Etomidate is the mostcardiac stableintravenous agent due to its lack of effect on the sympathetic nervous system and on the function of the baroreceptor. The myocardial oxygen supply-to-demand ratio is well maintained. Hence, etomidate is the intravenous agent of choice in patients withcoronary artery disease, cardiomyopathyandcerebral vascular disease.